Listing conditions in some order of severity without attempting to define any mathematical relation between categories is
1. Nominal scale
2. Ordinal scale
3. Interval scale
4. Ratio scale

Correct answer: 2. Ordinal scale